Fomepizole is used for:
1. Ethanol poisoning
2. Methanol poisoning
3. Opium poisoning
4. Barbiturate poisoning

Correct answer: 2. Methanol poisoning

Explanation: Ans. Methanol poisoning